Second line AKT drug causing peripheral neuropathy -
1. Ethionamide
2. Rifabutin
3. PAS
4. Moxifloxacin

Correct answer: 1. Ethionamide

Explanation: Ans. is 'a' i.e., Ethionamide Drug causing peripheral neuropathy* Amiodarone* Demeclocycline* Isoniazid* Mustine* Streptomycin* Chloramphenicol* Disopyramide* Methysergide* Nalidixic acid* Procarbazine* Chloroquine* Ethambutol* Metronidazole* Nitrofurantoin* Polymyxin, colistin* Cisplatin* Ethionamide* Vincristine* Perhexiline* Didanosine* Clioguinol* Glutethemide* Tricyclic antidepressant* Phenelzine* Paclitaxol* Clofibrate* Hydralazine* Tolbutamide* Phenytoin* Stavudine* Zalcitabine